Metabolites of tryptophan can give rise to
1. Diarrhoea
2. Vasoconstriction
3. Flushing
4. All of these

Correct answer: 4. All of these

Explanation: Serotonin (a metabolite of tryptophan) causes vasoconstriction, flushing, chronic diarrhea and respiratory distress due to bronchospasm.
Albinism is a defect in the metabolism of tyrosine due to deficiency of tyrosinase.